Most mature enamel is found at?
1. Apical region
2. Incisal edge and cusp tip
3. Middle region
4. Cervical region

Correct answer: 2. Incisal edge and cusp tip